Coxsakie A virus does not cause -
1. Herpangina
2. Hand, foot and mouth disease
3. Laryngotracheobronchitis
4. Aseptic meningitis

Correct answer: 3. Laryngotracheobronchitis

Explanation: coxsackie virus causes herpangina,aseptic meningitis,HFMD,minor respiratory infections... REF:ANATHANARAYANAN MICROBIOLOGY NINTH EDITION PAGE.491